Karyotyping is done in which phase of cell cycle
1. Anaphase
2. Metaphase
3. Telophase
4. S phase

Correct answer: 2. Metaphase

Explanation: Ans. is 'b' i.e., Metaphase o To produce a karyotype, one must obtain cells capable of growth and division as karyotyping is done by arresting mitosis in dividing cells in metaphase